Verotoxin producing E. coli 0157 :H7 serotype belong to?
1. Enteroaggregative E. coli (EAEC)
2. Enterohemorrhagic E. coli (EHEC)
3. Entero invasive E. coli (EIEC)
4. Enteropathogenic E. coli (EPEC)

Correct answer: 2. Enterohemorrhagic E. coli (EHEC)

Explanation: Ans. B. Entero hemorrhagic E. coli (EHEC)a. All of the above classes of E. coli cause diarrhea.b. However, only EHEC produce a verotoxin that has many properties that are similar to Shiga toxin.c. EHEC has been associated with hemorrhagic colitis, a severe form of diarrhea, and with hemolytic uremic syndrome (HUS). HUS is a disease resulting in acute renal failure, microangiopathic hemolytic anemia, and thrombocytopenia.d. coli O157:H7 belongs to the EHEC group of diarrheagenic E. coli.